Most common type of hyppospadias is?
1. Glandular
2. Penile
3. Scrotal
4. Perineal

Correct answer: 1. Glandular

Explanation: Ans. (a) GlandularRef. Bailey & Love 24th edp 1389